A pediatric surgeon is resecting a possible malignant mass from the liver of a neonate with cerebral palsy. The surgeon divides the round ligament of the liver during surgery. A fibrous remnant of which of the following fetal vessels is severed?
1. Ductus venosus
2. Ductus arteriosus
3. Left umbilical vein
4. Right umbilical vein

Correct answer: 3. Left umbilical vein

Explanation: The left umbilical vein becomes the round ligament of the liver after birth. The right umbilical vein did not leave a fibrous remnant because it was degenerated during the early embryonic period. The ductus venosus forms the ligamentum venosum; the ductus arteriosus forms the ligamentum arteriosum; Umbilical artery forms the medial umbilical ligament.